Bisected pearls appearance on culture medium is seen in ?
1. Brucella
2. Bordetella
3. Haemophilus ducreyi
4. Pseudomonas

Correct answer: 2. Bordetella

Explanation: Ans. is 'b' i.e., Bordetella Bordetella are gram-negative, capsulated, fimbriated, nonmotile coccobacillus.They show bipolar metachromatic granules on staining with toluidine blue.